Glyceryl trinitrate route of administration
1. Oral
2. Submucosal
3. Rectal
4. Sublingual

Correct answer: 4. Sublingual

Explanation: GTN is usually given by SL route .kept under the tongue and can be spit it out when sufficient pain relief is obtained.SL-1st pass metabolism can be bypassed. Ref: KD Tripathi 8th ed.